The composition of which of the following is highest in the cell membrane?
1. Proteins
2. Phospholipids
3. Cholesterol
4. Carbohydrates

Correct answer: 1. Proteins

Explanation: As per the 12th Edition of Guyton, the following are the approximate composition of a cell membrane/ plasma membrane.

Proteins- 55%
Phospholipids- 25%
Cholesterol-13%
Other lipids- 4%
Carbohydrates- 3%